Most common primary bone tumour of hand is:
1. Osteoma
2. Osteochondroma
3. Enchondroma
4. None of the above

Correct answer: 3. Enchondroma

Explanation: Enchondromas arise from cartilage and are the most common primary bone tumors of the hand. These lesions account for >90% of bone tumors seen in the hand. Ref: Schwartz's principle of surgery 9th edition, chapter 44.